Most common impacted foreign body in esophagus in children is
1. Coin
2. Food product
3. Krayon
4. Marble

Correct answer: 1. Coin

Explanation: Ans. is 'a' i.e., Coin Foreign body impaction* Most impacted foreign bodies do not get impacted in the oropharynx. The most common exceptions are fish and chick bones.* These objects most often lodge in the soft tissues at the base of tongue, but they can also lodge in the tonsil or the pyriform fossa.* Coins are the most commonly impacted foreign bodies in children in esophagus and oropharynx followed by the food products.